Wolff-Parkinson-White disease may be associated with which of the congenital heart defect:
1. Tetralogy of Fallot
2. PDA
3. Ebstein's anomaly
4. All of the above

Correct answer: 3. Ebstein's anomaly

Explanation: Ans. C: Ebstein's anomaly In Ebstein anomaly, Wolff Parkinson White type of conduction abnormality may be seen WPW syndrome: AV bypass tracts that conduct in an antegrade direction produces a typical ECG pattern which includes: - Short PR interval - Slurred upstroke of the QRS complex (delta wave) Wide QRS complex Procainamide is helpful Radiofrequency ablation is done Associated conditions: HOCM, mitral valve prolapse, ebsteins anomaly, thyrotoxicosis